Hormonal therapy used in breast cancer are: a) Danazol b) Cyproterone acetate c) Tamoxifen d) LHRH analogue e) Methotrexate
1. ab
2. ae
3. ad
4. cd

Correct answer: 4. cd